Penicillin is the metabolic product of ?
1. Aminoadipic acid
2. Aminocaproic acid
3. Levulinic acid
4. Arachidonic acid

Correct answer: 1. Aminoadipic acid

Explanation: Ans. is 'a' i.e., Aminoadipic acid Penicillin is a product of secondary metabolic pathway of Penicillium chrysogenum. a-aminoadipic acid is the precursor of penicillin. This compound is normally converted to lysine primary metabolic pathway. However, when the growth of fungus is inhibited, a-aminoadipic acid is converted to penicillin secondary metabolic pathway.